Cirrhosis can be seen in all of the following metabolic diseases EXCEPT?
1. Tyrosinemia
2. Galactosemia
3. Mc Ardle disease
4. Hereditary fructose intolerance

Correct answer: 3. Mc Ardle disease

Explanation: Cirrhosis can be seen in: Tyrosinemia Galactosemia Hereditary fructose intolerance Wilson disease